A 20-year old man has presented with increased alcohol consumption and sexual indulgence, irritability, lack of sleep, and not feeling fatigued even on prolonged periods of activity. All these changes have been present for 3 weeks. The most likely diagnosis is:
1. Alcohol dependence
2. Schizophrenia
3. Mania
4. Impulsive control disorder

Correct answer: 3. Mania

Explanation: C i.e. ManiaWhy Mania: The patient is irritable for 3 weeks (i.e. criteria A- abnormally & persistently elevated mood for atleast 1 week).There are 3 criteria B features i.e. increased sexual indulgence & alcohol consumption (excessive involvement in pleasureable activity) and decreased need for sleep.Q